B cell maturation takes place in -
1. thymus
2. Lymph node
3. Bone marrow
4. Spleen

Correct answer: 3. Bone marrow

Explanation: The key cells in our immune system are lymphocytes known as B cells and T cells, which originate in our bone marrow. After T cells further develop in our thymus. Reff: www.mayoclinic.com